Most common epidemic after disaster is -
1. Gastroenteritis
2. Respiratory infection
3. Wound infection
4. Leptospirosi

Correct answer: 1. Gastroenteritis

Explanation: Ans. is 'a' i.e., Gastroenteritis Disease common in Post-disaster Phase* Gastroenteritis (MC)* Acute respiratory tract infections (Pneumonia)* Leptospirosis* Rickettsiosis* Rabies* Equine encephalitis